Cephalic index is most useful in the identification of -
1. Age
2. Sex
3. Religion
4. Race

Correct answer: 4. Race

Explanation: Cephalic index is used for the determination of race. Race determination of skeleton
A) Cephalic Index
(C)  Cephalic index is defined as the index of the breadth of the skull.
Cephalic index = Max. the breadth of the skull —————————— Max. AP length of skull x 100
 Based on cephalic index races are classified into following three:-
1) Dolichocephalic (long-headed): Cephalic index is 70-75 and is a feature of Caucasians,
Pure Aryan (Indians), Aborigines, and Negroes.
2) Mesaticephalic (medium headed): Cephalic index is 75-80 and is a feature of Europeans, and Chinese.
3) Brachycephalic (short-headed): Cephalic index is more than 80 and is a feature of Mongolian.
B) Brachial Index - Brachial index is defined as- Brachial index = Length of radius ———————— Length of humerus x 100

Brachial index is 74.5 in Europeans and 78.5 in Negroes.

C) Crural index  It is defined as- Crural index = Length of tibia ——————— Length of femur x 100  Crural index is 83.3 in Europeans and 86.2 in Negroes.
D) Humero-femoral index (HF index) - It is defined as- Humero-femoral index = Length of humerus ———————— Length of femur x 100  It is 69 in Europeans and 72.4 in Negroes.
E) Intermembral index - t is:- Intermembral index = Length of radius + humerus ———————————— Length of tibia + femur x 100

It is almost the same (70) in Europeans and Negroes.

F) Orbit  It is square in Pure Aryans (Indians), Negroes, and Arborigines. It is triangular in Chinese and Europeans. It is ‘rounded’ in Mongols.
G) Nasal opening It is broad in Pure Aryans (Indians), Negroes, and Arborigines. It is narrow and elongated in Chinese and Europeans.
It is ‘rounded’ in Mongols.
H) Palate is rectangular in Pure Aryans (Indians), Negroes, and Arborigines.
It is triangular in Chinese and Europeans. It is rounded (or horseshoe-shaped) in Mongols.